All of these are muscle of soft palate except
1. Risorius
2. Tensor Palate
3. Levator Palate
4. Muscular Uvulae

Correct answer: 1. Risorius